Which of the following is classic CT appear-ance of an acute Subdural hematoma:
1. Lentiform-shaped hyperdense lesion
2. Cresent-shaped hypodense lesion
3. Cresent-shaped hyperdense lesion
4. Lentiform-shaped hypodense lesion

Correct answer: 3. Cresent-shaped hyperdense lesion

Explanation: C i.e. Cresent-shaped hyperdense lesion